What is the role of CAP in a Lac operon?
1. Positive regulation
2. Negative regulation
3. Constitutive expression
4. Attenuation

Correct answer: 1. Positive regulation

Explanation: Catabolite repression is an example of positive regulation. Binding of CAP-cAMP complex at the CAP site enhance the transcription rate of the lac operon. CAP-cAMP complex exerts a positive control of transcription. Lac I repressor exerts negative control. Ref: Lewin's Essential Genes By Jocelyn E. Krebs, Page 300; Fundamental Bacterial Genetics By Nancy Jo Trun, J. E. Trempy, Page 200; High-Yield Cell and Molecular Biology By Ronald W. Dudek, Part 845, Page 102; Energy Systems for Residential Buildings By David R. Hyde, Robert Carrow, Page 653